CSF production per minute
1. 0.30 - 0.35 ml/min
2. 0.5 ml/min
3. 2 ml/min
4. 1ml/min

Correct answer: 1. 0.30 - 0.35 ml/min

Explanation: 500-550ml/day